A female has episodic, recurrent headache in left hemicranium with nausea and parasthesia on right upper and lower limbs is most probably suffering from :
1. Migraine
2. Glossopharyngeal neuralgia
3. Herpes zoster infection of trigeminal Nerve
4. Brain tumour

Correct answer: 1. Migraine

Explanation: Answer is A (Migraine) Migraine is a syndrome of episodic recurrent throbbing headache, more often unilateral, which is associated with nausea vomiting, photophobia or phonophobia. Parastheasis with tingling and numbness and focal neurological deficits are often associated. Aura may or may not be present.